What is the role of Sodium Fluoride in otosclerosis?
1. It restores the electrolyte equilibrium
2. It hastens recovery of the Overstimulated Cochlea
3. It quickens the maturity of the active focus and reduces osteoclastic resorption
4. It repolarizes the cochlear cells

Correct answer: 3. It quickens the maturity of the active focus and reduces osteoclastic resorption

Explanation: Ans. is 'c' i.e., It quickens the maturity of the active focus and reduces osteoclastic resorption Sodium fluoride for medical management of otosclerosiso Sodium fluoride may be used for non surgical management of otosclerosis. Although the efficacy of this agent has not been definitely proved, it is being increasingly used in various clinical settings.Mechanism of action of Sodium fluoride in otosclerosiso Reduces osteoclastic bone resorption and increases osteoblastic bone formation. These actions reduce bone remodelling in actively expanding osteolytic lesions and promote recalcification.o Inhibits proteolytic enzymes that are cytotoxic to the cochlea. Inhibition of proteolyic enzymes that are cytotoxic to the cochlea is believed to prevent sensorineural deafness.